First choice DMARD in rheumatoid arthritis is
1. Gold salts
2. Penicillamine
3. Methotrexate
4. Sulfasalazine

Correct answer: 3. Methotrexate

Explanation: Rheumatoid Arthritis - Pain and inflammation of joints - For acute treatment we use: - NSAIDS - Steroids But it is only symptomatic treatment. It cannot slow down the joint destruction DMARDs- (Disease modifying anti-rheumatoid drugs) - As they are very slow acting so they are also called SAARDs (slow acting anti rheumatic drugs). Classification Conventional DMARDs Biologicals Chloroquine Penicillamine Azathioprine Gold salts Leflunomide Immunosuppressants Methotrexate (DOC) sulfasalazine Anakinra Sarilumab Adalimumab Cerolizumab Etanercept Infliximab Golimumab Abatacept Methotrexate - Drug of choice - Acts by increasing adenosine which possesses anti-inflammatory activity. DMARD of choice in pregnancy - CHLOROQUINE Sulfasalazine: It is a prodrug& can be used in ankylosing spondylitis.